Emergency oxygen flush in anaesthetic machine provides
1. 35-75L/min oxygen at 55 to 60 Psi pressure
2. 25-35L/min oxygen at 10 to 12 Psi pressure
3. 55-75L/min oxygen at 55 to 60 Psi pressure
4. 10-20L/min oxygen at 10 to 12Psi pressure

Correct answer: 1. 35-75L/min oxygen at 55 to 60 Psi pressure

Explanation: Emergency oxygen flush delivers more than normal amount of oxygen at higher pressure to stabilize the patient.